Initiation of dental caries depends upon
1. formation of large amount of acid
2. Availability of carbohydrate food
3. Viscosity of saliva
4. Localization of acid over tooth surface

Correct answer: 4. Localization of acid over tooth surface